True statements are all except -
1. Chromosome 6 harbours the gene for MHC
2. Genes encoding compliments are located adjacent to class- I molecules
3. Monocytes have MHC class II antigens on their surfaces
4. Class III MHC does not encode complement

Correct answer: 4. Class III MHC does not encode complement

Explanation: Ans. is 'd' i.e., Class III MHC does not code for complement